Which is not a mechanism of action of corrosive poison
1. Free radical oxidative injury
2. Extracting water from tissues
3. Coagulation of proteins
4. Convert haemoglobin to hematin

Correct answer: 1. Free radical oxidative injury

Explanation: Corrosives - mechanism of action - Corrosive poison erodes the surface in contact by extracting water from local tissue, coagulation of protein, convert hemoglobin to hematin.